All NSAIDs block cycloxygenase and
1. Prostaglandin synthesis
2. Ectoglandin synthesis
3. Preglandin synthesis
4. Costaglandin synthesis

Correct answer: 1. Prostaglandin synthesis